Malnourished children are at risk for complications of measles, leading to greater morbidity and mortality. Which of the following should be given to children to reduce these risks?
1. Vitamin A
2. Vitamin B
3. Vitamin C
4. Vitamin D

Correct answer: 1. Vitamin A

Explanation: High-dose vitamin A (a) given to malnourished children and anyone with vitamin A deficiency reduces the risk of mortality. The World Health Organization recommends that all children with measles receive vitamin A supplementation (not necessarily high-dose). The remaining vitamins listed do not have any effects on the outcome of measles.